True about follicular cysts of ovary are all except
1. Functional cyst of ovary
2. Most-common in young, menstruating women
3. Independent of gonadotropins for growth
4. Women with cystic fibrosis have increased propensity to develop follicular cysts.

Correct answer: 3. Independent of gonadotropins for growth

Explanation: Follicular cysts are dependent on gonadotropins for growth.